In a child admitted with H. Influenza meningitis, Cefotaxime was started instead of ampicillin. Which of these is the likely reason for this?
1. H. influenzae stains known to produce Beta lactamase
2. H. influenzae stains known to have altered penicillin binding protein
3. More easier to give
4. It is cheap

Correct answer: 1. H. influenzae stains known to produce Beta lactamase

Explanation: Ans. (a) H. influenzae stains known to produce Beta lactamase Approximately 20-35% of nontypable strains of hemophilus produce 13-lactamase. In addition to 0-lactamase alteration of penicillin binding proteins is a second mechanism of ampicillin resistance has been detected in isolates of H. influenzae.